Which of the following is an example of a non veneral disease -
1. Endemic syphilis
2. Gonorrhoea
3. Chancroid
4. LGV

Correct answer: 1. Endemic syphilis

Explanation: Endemic syphilis is transmitted nonvenerally by direct or indirect contact- among children and adolescents through their play or by drinking vessels and common eating and other household utensils under primitive, crowded and substantiated conditions of living Reference; Park's Textbook of preventive and social medicine, 24th edition.Pg no. 359